Pelvic Inflammatory Disease occurs least common with :
1. OCPs
2. Condom
3. IUCD
4. Diaphragm

Correct answer: 2. Condom

Explanation: Ans. is b i.e. Condom Barrier methods (especially condom) and OCP's both protect against PID, but the protection offered by OCP's is less than that by Barrier method. "The incidence of pelvic inflammatory disease (P1D) is reduced. though it does not reach the same low level as seen with the barrier methods." As far as diaphragm is concerned, it does not protect against HIV, whereas condom does.